Sulfur granules in pus are seen in
1. Candida albicans
2. Actinomyces israelii
3. Nocarda braziliances
4. HistopLasma capsulatum

Correct answer: 2. Actinomyces israelii